Diaphyseal aclasis is -
1. Multiple exostosis
2. Multiple enchondromatosis
3. Multiple hemagioma
4. Multiple osteoid osteoma

Correct answer: 1. Multiple exostosis

Explanation: Diaphyseal aclasia is Characeteristised by multiple exostosis Heriditary multiple exostosis is an autosomal dominant Heriditary disorder Multiple osteochondromatosis is also called multiple osteocartilaginous exostosis, multiple hereditary exostosis (MHE), familial osteochondromatosis, multiple hereditary osteochondromatosis, or Diaphyseal aclasia. 1 About 70 percent of the time, it is inherited. About 30 percent of the time, it occurs randomly. It affects males more often than females. It usually happens within the first three decades of life. II Alterations in genes called EXT genes are thought to be the cause of this disease. It can be passed along in families. There is no other known risk factor or cause. There is increased risk of mali*nant transformation. Refer Essentials orthopedic 9/e p 1810